Prophylactic therapy should be started against Pneumocystis carinii pneumonia in AIDS patients with CD4 counts below :
1. < 50/microL
2. < 150/ microL
3. < 200/ microL
4. < 400/ microL

Correct answer: 3. < 200/ microL